Ductus venosus connects:
1. Pulmonary trunk and descending aorta
2. Right atrium and left atrium
3. Portal vein and IVC
4. Pulmonary trunk and ascending aorta

Correct answer: 3. Portal vein and IVC

Explanation: In fetal circulation, ductus venosus shunts a portion of the left umbilical vein blood flow directly to the inferior vena cava. It allows oxygenated blood from the placenta to bypass the liver. The only related option appears to be choice c. Fig. : Fetal circulation